True regarding fibromuscular dysplasia are all except-
1. Medium size vessels
2. OCPs predispose
3. Aneurysm may occur
4. Irregular hyperplasia

Correct answer: 2. OCPs predispose

Explanation: Ans. is b' i.e., OCPs predispose Fibromuscular dvsplasia It is focal irregular thickening of the walls of medium and large muscular arteries, including renal, carotid, splanchnic, and vertebral vessels. Segments of vessel wall are focally thickened by a combination of irregular medial and intitnal hyperplasia and fibrosis, causing luminal stenosis. In renal vessels, it may cause renovascular hypertension. Aneurysm may develop in the vessel segment with attenuated media, and can rupture in some cases. There is no association with use of oral contraceptives or sex hormone abnormalities.